The following drugs are used for prophylaxis of migraine except
1. Valproate
2. Topiramate
3. Meperidine
4. Metoprolol

Correct answer: 3. Meperidine

Explanation: Meperidine is opioid analgesic which is avoided in migraine.